A patient on anti-psychotic drugs develops temperature of 104degC, BP about 150/100 and abnormal behavior. What is the likely diagnosis?
1. Aggravation of psychosis
2. Parkinsonism
3. Dystonia
4. Neuroleptic malignant syndrome

Correct answer: 4. Neuroleptic malignant syndrome

Explanation: Neuroleptic malignant syndrome is characterized by immobility, rigidity, tremors, fever, dysphagia, stupor or coma with autonomic effects like fluctuating BP and HR. It could be due to sudden reduction in dopaminergic or cholinergic action. Ref KD Tripati 8thh ed.